Most common cause of Bronchiolitis is:
1. RSV
2. Adenovirus
3. Hospitalize and treat
4. Mycoplasma

Correct answer: 1. RSV

Explanation: a. RSV(Ref: Nelson's 20/e p 2044-2047, Ghai 8/e p 381-382Acute bronchiolitisIt is predominantly a viral disease and RSV is responsible for more than 50% of casesOther agents include parainfluenza, adenovirus, rhinovirus, Mycoplasma, human metapneumovirus and bocavirus.